Myringotomy is -
1. Surgical opening in eustachian tube
2. Surgical opening in tympanic mambrane
3. Surgical opening in semicircular canal
4. None

Correct answer: 2. Surgical opening in tympanic mambrane

Explanation: Ans. is 'b' i.e., Surgical opening tn tympanic mambrane Myringotomvo Myringotomy is also known as myringocentesis, tympanostomy or tympanotomy Myringotomy is a surgical procedure in which a small incision is made in the eardrum (tympanic membrane). Myringotomy is done to drain suppurative or nonsuppurative fluid (effusion) of middile ear or to provide aeration in case of nonfunctional eustachian tube.IndicationsAcute suppurative otitis mediaSevere earache with bulging tympanic membraneIncomplete resolution with opaque drum and persistent conductive deafnessComplications of acute otitis media, e.g. facial paralysis, labyrinthitis or meningitis with bulging tympanic membraneSerous otitis mediaAero-otitis media (to drain fluid and "unlock1' the eustachian tube)Atelectatic ear (grommet is often inserted for long-term aeration)